A child presented with decreased S.Calcium, increased S.Phosphorus and decreased urinary calcium and phosphorus. These are seen in which condition?
1. Renal tubular acidosis
2. Chronic Renal failure
3. Nutritional rickets
4. Coeliac rickets

Correct answer: 2. Chronic Renal failure

Explanation: Decreased sr. Calcium and increased S . phosphorus and decreased urinary phosphate and calcium excretion occurs in chronic renal failure . At first with the reduction of renal function phosphate balance is initially maintained by increased excretion from normal nephrons . However when gfr falls <25 % blood phosphate level rises and urinary phosphate decreased. Ref : Ghai pediatrics eighth edition pg no 495 - 496